Which of the following methods is not an acceptable way to determine instrument sharpness?
1. Evaluation of the cutting edge during scaling procedures
2. Evaluation of light reflection from the cutting edge when observed under magnification
3. Evaluation of the cutting edge against plastic testing stick
4. Evaluation of the cutting edge against the clinicians finger nail

Correct answer: 4. Evaluation of the cutting edge against the clinicians finger nail